The antibiotic that inhibits protein synthesis by premature chain termination and which structurally resembles an aminoacyl t-RNA is -
1. Tetracycline
2. Chloramphenicol
3. Puromycin
4. Erythromycin

Correct answer: 3. Puromycin

Explanation: Ans. is 'c' i.e., Puromycin oRT Puromycin is a tRNA analogue which combines with amino acid in place of tRNA and forms a complex with amino acid that prevents addition of further amino acids to polypeptide (i.e. causes premature chain termination).